The drugs which achieve concentration in bile are all except ?
1. Erythromycin
2. Tetracycline
3. Oral contraceptives
4. Alpha methyl dopa

Correct answer: 4. Alpha methyl dopa

Explanation: Ans. is 'd' i.e., Alpha methyl dopa